Haverhill fever is caused by-
1. Bartonella henselae
2. Streptobacillus moniliformis
3. Eikenella corrodens
4. Coccidioides

Correct answer: 2. Streptobacillus moniliformis

Explanation: Ans. is 'b' i.e., Streptobacillus moniliformis * Streptobacillus moniliformis causes rat-bite fever in humans.* It enters the body through the wound caused by the rat bite.* The infection also occurs by the ingestion of water, milk or food contaminated with rat excreta. In these cases, the infection is known as 'Haverhill fever'.* Clinical symptoms include fever, rash and arthralgia.